First to be developed is -
1. Neural pit
2. Neural groove
3. Neural fold
4. Primitive streak

Correct answer: 4. Primitive streak